Viral enterotoxin is detected as a possible of mechanism pathogeneis in -
1. Adenovirus
2. Rotavirus
3. Calcivirus
4. Astrovirus

Correct answer: 2. Rotavirus

Explanation: Rotavirus produce pathogenicity by production of enterotoxins. REF:Textbook of microbiology, Ananthanarayan and Paniker. Page no.: 561